All are precancerous except -
1. Lichen planus
2. Verrucous carcinoma
3. Submucous fibrosis
4. Leukoplakia

Correct answer: 2. Verrucous carcinoma

Explanation: Robbins basic pathology 9th edition page no 857,Heading=Verrucea Verrucea are caused by human papilloma virus. Some members of the HPV family are associated with preneoplastic and invasive cancers of anigenital region. In contrast with HPV associated carcinomas, most was are caused by low risk HPV subtypes that lack transforming potantial.